Spina Ventosa results from -
1. Sarcoidosis
2. Tuberculosis
3. Histiocytosis X syndrome
4. Both A + B but not C

Correct answer: 2. Tuberculosis

Explanation: Spina ventosa is the name given to tuberculosis of the phalanges of hand.